Most common trisomy among following is -
1. 18
2. 21
3. 13
4. 5

Correct answer: 2. 21

Explanation: The most common abnormalities of chromosome number are 'trisomies' -Nelson
The most frequent and best known trisomy in humans is trisomy 21 or Down's syndrome - Nelson